Lipschutz inclusion bodies are seen in infects caused by-
1. Herpes virus
2. Vaccinia virus
3. Hepatitis-A virus
4. Hanta virus

Correct answer: 1. Herpes virus

Explanation: Herpes Simplex Viruses Infection Laboratory Diagnosis 1. Light Microscopy - cells from the base of the lesion, or wiped from a mucous surface, or biopsy material, may reveal intranuclear inclusions (Lipschutz inclusion bodies). Infected cells may show ballooning and fusion. 2. Electron Microscopy - Electron microscopy is not a sensitive tool for the detection of HSV, except in the case of vesicle fluids which often contain 108 or more particles per milliliter. However, like light microscopy, electron microscopy cannot distinguish between the different viruses. 3. Direct examination by antigen detection - cells from specimens is treated in ice-cold acetone. FITC is generally used for staining of fixed material. It is more sensitive and specific than light and electron microscopy (90% sensitive, 90% specific), but cannot match virus culture. In terms of cost and technical expertise, it is very much more demanding. Cytopathic effect of HSV in cell culture, note the ballooning of cells (Courtesy of Linda Stannard, University of Cape Town, S.A.) and positive immunofluorescence test for HSV antigen in the epithelial cell (Virology Laboratory, Yale-New Haven Hospital) Ref: mayo clinic